In obesity, BMI is?
1. > 20
2. > 25
3. >30
4. >40

Correct answer: 3. >30

Explanation: ANSWER: (C) > 30RE F: style="color: rgba(20, 20, 20, 1); font-family: Times New Roman, Times, serif"> .html, style="color: rgba(20, 20, 20, 1); font-family: Times New Roman, Times, serif">. nih.gov/pubmed/14726171?dopt=Abstract,http ://www.who. int/nutrition/publications/bmi_asia_strategies .pdfThe International Classification of adult underweight, overweight and obesity according to BMI:ClassificationBMI (kg/m2) Principal cut-off pointsAdditional cut-off pointsUnderweight<18.50<18.50Severe thinness<16.00<16.00Moderate thinness16.00-16.9916.00-16.99Mild thinness17.00 -18.4917.00 -18.49Normal range18.50-24.9918.50 - 22.9923.00 - 24,99Overweight>25.00>25.00Pre-obese25.00 - 29.9925,00 - 27.4927.50-29.99Obese>30.00>30.00Obese class I30.00 - 34.9930.00 - 32.4932.50 - 34.99Obese class 1135.00 - 39.9935.00 - 37.4937.50-39.99Obese class III>40.00>40.00